A 60-year-old female present with history of recurrent abdominal pain. Imaging shows multiple small cystic lesions like bunch of grapes in the head of pancreas with a grossly dilated main pancreatic duct. The most likely diagnosis is:
1. SCN
2. MCN
3. IPMA
4. Pancreatic pseudocyst

Correct answer: 3. IPMA

Explanation: Ans. (c) Intraductal papillary mucinous neoplasm* Bunch of grapes appearance in Head of Pancreas - Typical of IPMN* Dilated Pancreatic duct typical of IPMN* Fish mouth lesion on Endoscopy seen in IPMN